Causative factor for acne are all except.
1. Androgen
2. Only food
3. Bacterial contamination
4. Hypercornification of duct

Correct answer: 2. Only food

Explanation: B i.e. Only food